In ohotropic liver transplantation, which is the best way to get bile drainage in donor liver?
1. Donor bile duct with recipient bile duct or Roux en Y choledochojejunostomy
2. Donor bile duct with duodenum of recipient
3. Donor bile duct with jejunum of recipient
4. External drainage for few days followed by choledochojejunostomy

Correct answer: 1. Donor bile duct with recipient bile duct or Roux en Y choledochojejunostomy

Explanation: In ohotropic liver transplantaion, the bile duct between recipent and donor liver are repaired in end to end fasion or else Roux en Y choledochojejunostomy. Ref: Atlas of Upper Gastrointestinal and Hepato-Pancreato-Biliary Surgery By Pierre-Alain Clavien, 2007, Page 475